The fusion of two bony structures with a ligament is known as
1. Synostosis
2. Synchondrosis
3. Diarthrosis
4. Syndesmosis

Correct answer: 4. Syndesmosis